PNH is associated with a deficiency of :
1. DAF
2. MIRL
3. GPI Anchored proteinAplastic Anemia and Pancytopenia
4. All of the above

Correct answer: 4. All of the above

Explanation: Answer is D (All of the above) PNH is associated with a deficiency of GPI anchored proteins including DAF and MIRL PNH is associated with a deficiency of GPI Anchored proteins DAF (CD55) and MIRL (CD59) are the most important GPI Anchored proteins that may be deficient in PNH. Since option 'D' allows us to select all the above options and we are not forced to select one single best protein `Option D' becomes the answer of choice. Glycosvl phosphatidvlinositol (GPI) anchored proteins and PNH PNH is primarily associated with a deficiency of GPI anchored proteins on hemotopoetic cells All proteins that are deficient in PNH are GPI Anchored and all GPI anchored proteins that are expressed by hematopoietic cells are deficient in PNH' - Wintrobe's The most important GPI anchored proteins that are causally related to PNH are the complement regulatory proteins that result in abnormal susceptibility of erythrocytes to complement mediated lysis. GPI Anchored complement regulatory proteins Decay accelerating factor (DAF -- CD 55) Membrane Inhibitor of Reactive Lysis (MIRL -- CD59) However several other GPI anchored proteins may be deficient in PNH and currently the list of proteins deficient in PNH numbers more than 20 GPI Anchored Proteins Deficient in PNH Cellular prion protein Leukocyte alkaline phosphatase - CD66b (formerly CD67) Acetylcholinesterase - CD66c Decay accelerating factor (DAF, CD55) - p50-80 Membrane inhibitor of reactivity lysis (MIRL, CD59) - CD24 FcyRlllb (CD16b) - CD48 Lymphocyte function-associated antigen 3 (LFA-3, CD58) - Thy-1 (CD90) Endotoxin-binding protein (CD14) - CD109 Campath 1 (CD52) - CD157 5'-ectonucleotidase (CD73) - GP500 Urokinase plasminogen activator receptor (CD87) - GP175 JMH-bearing protein (CD108) - Folate receptor